A bilateral mandibular block
1. Is dangerous because patient may swallow tongue
2. Will lead to space infection
3. Is not contraindicated
4. Should rarely be performed

Correct answer: 3. Is not contraindicated